A 2-year old male child has been limping ever since he has started walking. Examination reveals a short right lower limb with limited abduction at the hip. the Trendelenburg sign is positive however telescopy is absent. The most probable diagnosis is-
1. Kimer's deformity
2. Congential dislocation of the hip
3. Congenital coxa vara
4. Perther's disease

Correct answer: 3. Congenital coxa vara